All are true of mandibular nerve except:
1. Sensory branch arises from anterior trunk
2. Muscles of mastication are innervated only by branches of main trunk
3. Nerve to medial pterygoid arises from main trunk
4. Buccal nerve supplies the skin and mucous membrane related to buccinator

Correct answer: 2. Muscles of mastication are innervated only by branches of main trunk